Preload is determined by ?
1. Enddiastolic volume
2. Endsystolic volume
3. Ventricular ejection volume
4. None of the above

Correct answer: 1. Enddiastolic volume

Explanation: Ans. is 'a' i.e., Enddiastolic volume